Face to pubis delivery is most common seen in which kind of pelvis -
1. Gynecoid
2. Android
3. Anthropoid
4. Platypelloid

Correct answer: 3. Anthropoid

Explanation: Ans. is 'c' i.e., Anthropoid o Gynaecoid: No difficultyo Anthropoid: Most common incidence of face to pubiso Android: Increased risk of perineal tearso Platypelloid: No difficultyo Most common type of pelvis: Gynecoido Least common type of pelvis: Platypelloido Most common cause of Occipitoposterior position : Anthropoid pelviso Most common cause of persistent occipitoposterior position : Android pelviso Only pelvis where transverse diameter > AP diameter is platypelloid pelvis.